How does gall bladder effect on pH of bile?
1. Makes bile pH neutral
2. Bile pH decreases from 8 - 8.6 to 7 - 7.6.
3. Bile pH increases from 7 - 7.6 to 8 - 8.6.
4. No effect on bile pH

Correct answer: 2. Bile pH decreases from 8 - 8.6 to 7 - 7.6.

Explanation: Bile pH decreases from 8 - 8.6 to 7 - 7.6. Alteration of Bile pH: Becomes less alkaline during storage. Bile pH decreases from 8 - 8.6 to 7 - 7.6.